Right axis deviation is seen in all except
1. VSD
2. Tricuspid atresia
3. Pulmonary atresia
4. ASD

Correct answer: 2. Tricuspid atresia